Which of the following infection has highest chances of transmission by blood transfusion?
1. HIV
2. HBV
3. HTLV-1
4. HCV

Correct answer: 2. HBV

Explanation: Hepatitis B virus (HBV) infection has highest chances of transmission by blood transfusion. Risk is also present for various other infections: Hepatitis C virus HIV HTLV-1 CMV Parvovirus-B19 Malaria Babesiosis Dengue Zika virus